An elderly patient presents with itchy tense blisters on normal looking skin as well as on urticarial plaques as shown below. The most probable diagnosis is:
1. Pemphigus vulgaris
2. Linear IgA disease
3. Bullous pemphigoid
4. Dermatitis herpetiformis

Correct answer: 3. Bullous pemphigoid

Explanation: Ans. (c) Bullous pemphigoid.